Ocriplasmin is the newer drug used in which of the following?
1. Retinal break
2. Vitreomacular traction
3. Submacular blees
4. Diabetic macular bleed

Correct answer: 2. Vitreomacular traction

Explanation: Ocriplasmin is used as chemical vitrectomy - it liquifies the gel like vitreous thereby relieving any vitreous traction. Hence used to relieve vitreo-macular traction which when significant can progress to idiopathic macular hole New Drugs Ocriplasmin: Chemical vitrectomy. Anti- VEGF Bevacizumab: Avastin Pegitinib- Macugen (Anti-VEGF) Ranibizumab- Lucentis (Anti-VEGF) Aflibercept (aflibercept)- VEGF TRAP (wet ARMD) Ozurodex- Dexamethasone (0.7%)implant Non infectious Uveitis Macular edema Other Implant: Retise & Illuvein New Modalities for ARMD Sirolimus: IL-2 Inhibitor Plasmapheresis